Lipofuscin is associated with
1. Brownatrophy
2. White atrophy
3. Red atrophy
4. Black atrophy

Correct answer: 1. Brownatrophy

Explanation: o Deposition of lipofuscin in the heart is referred as brown atrophy